In a preterm baby with respiratory distress syndrome which type of cell is deficient
1. Type 1 alveolar cell
2. Type 2 alveolar cell
3. Alveolar capillary endothelial cells
4. Bronchial mucosal epithelial cells

Correct answer: 2. Type 2 alveolar cell

Explanation: After birth Lung expands due inspiring air surfactant keeps the bug from collapsing defficieney of surfactant= Respiratory Distress Syndrome ref : guyton and hall 13th ed.